Base of the heart is formed by
1. Right atrium
2. Right ventricle
3. Left atrium
4. Left ventricle

Correct answer: 3. Left atrium

Explanation: Base of heart is formed by left atrium and the small part of right atrium. BD CHAURASIA'S HUMAN ANATOMY.VOLUME 1. 6TH EDITION.PAGE NO 253